Contraindications of IUCD:a) Undiagnosed vaginal bleedingb) PIDc) Smokingd) Obesitye) Diabetes
1. ac
2. a
3. ad
4. ab

Correct answer: 4. ab

Explanation: Absolute contraindications of IUCD/WHO Category 4
Please         Puerperal sepsis/Pregnancy
Don’t           DUB
Try to          Gestation of trophoblastic disease
Put              current PID/STD or within the past 3 months puerperal sepsis
Condom     Cancer cervix
                   Cancer endometrium 
Mnemonic: Please Don’t Try to Put Condom
Relative contraindications of IUCD 
• Distortions of uterine cavity due to congenital malformations, fibroid
• Wilson disease
• Scarred uterus (Jeffcoate/Shaw)
According to WHO, IUCD can be used in valvular heart disease but antibiotics should be given before insertion.